All the following are derivatives of the neural crest, EXCEPT:
1. Melanocyte
2. Adrenal medulla
3. Sympathetic ganglia
4. Cauda equina

Correct answer: 4. Cauda equina

Explanation: D i.e. Cauda equine